Mental health programme was started in?
1. 1982
2. 1987
3. 1990
4. 1995

Correct answer: 1. 1982

Explanation: Ans. is 'a' i.e., 1982 The Government of India has launched the National Mental Health Programme (NMHP) in 1982. Also know Mental health act was started in 1987.